Accurate diagnosis of anencephaly in ultrasound is seen at week :
1. 6 weeks of gestation
2. 8 weeks of gestation
3. 10 weeks of gestation
4. 14 weeks of gestation

Correct answer: 4. 14 weeks of gestation

Explanation: 14 weeks of gestation